All of the following bacteria protein is secreted from the primary granules of neutrophil except:
1. Bacterial cell permeability protein
2. Defensins
3. Lysosome
4. Lactoferine

Correct answer: 4. Lactoferine